A patient of atrial fibrillation is on digoxin therapy. Which of the following responses do you expect?
1. Restoration of normal sinus rhythm
2. Conversion of atrial fibrillation to atrial flutter
3. Increase in atrial fibrillation frequency, but decrease in ventricular rate
4. Decrease in atrial fibrillation frequency but increase in ventricular rate

Correct answer: 3. Increase in atrial fibrillation frequency, but decrease in ventricular rate

Explanation: Digitalis controls the ventricular rate in AF patients. The frequency of atrial fibrillation may actually increase. Ibutilide is approved for the conversion of AF to sinus rhythm.